Thanatology deals with:
1. Exhumation
2. Death in all aspects
3. Unnatu ral sex offences
4. Body of offence

Correct answer: 2. Death in all aspects

Explanation: Ans: b (death in all aspects) Ref: Reddy, 27th ed,p. 121Thanatology deals with death in all aspects.Types of death1) Somatic death-Complete, irreversible stoppage of circulation breathing and brain function2) Brain death-Characterized by deep unconsciousness with no response to external stimuli, no breathing, no cardiac function, no reflexes (except spinal),fixed dilated pupil and flat EEG for atleast 24 hrs with body temperate more than 32degC in the absence of metabolic and endocrine dysfunction.3) Molecular death-Death of cells or tissues individually.